With Couinad's nomenclature which one of the following segments of liver has an independent vascularisation -
1. Segment I
2. Segment II
3. Segment IV
4. Segment VIII

Correct answer: 1. Segment I